In Guardsman fracture there is:
1. Direct fracture of symphysis+ indirect fracture of bilateral subcondyle.
2. Indirect fracture of symphysis + direct fracture of bilateral subcondyle.
3. Direct fracture at both the sites.
4. Any of the above.

Correct answer: 1. Direct fracture of symphysis+ indirect fracture of bilateral subcondyle.